False about Japanese encephalitis:
1. Pigs are amplifier hosts
2. Culicine mosquitoes are vectors
3. Man to Man transmission
4. Case fatality rate is about 20-40%

Correct answer: 3. Man to Man transmission

Explanation: No Man to Man transmission.